One gray of radiation is equal to -
1. 1 rad
2. 10 rad
3. 100 rad
4. 1000 rad

Correct answer: 3. 100 rad

Explanation: The activity of radioactive material is the number of nuclear disintegration per unit of time. SI unit of radiation exposure - coulomb per kilogram (1Roentgen = 2.58x10-4 C/kg) absorbed dose - Gray (1 Gray = 100 rad) Dose equivalent - Sievert (Sv) (1 Sv = 100 rems) Park's Textbook of Preventive and Social Medicine, 25th Edition, Pg 804